Crooke's hyaline body is present in
1. Yellow fever
2. Basophil cells of pituitary gland in Cushing syndrome
3. Parkinsonism
4. Huntington 's disease

Correct answer: 2. Basophil cells of pituitary gland in Cushing syndrome

Explanation: Ref Robbins 8/e p 1149